which strain of influenza was declared recently as pandemic
1. H1N1
2. H5N1
3. H7N7
4. H3N3

Correct answer: 1. H1N1

Explanation: inJune 2009 a new strain of H1N1 influenza called swine flu was declared to be a global pandemic by the WHO REF : ANANTHNARYANA